Most potent stimulator of naive Tcells-
1. Mature dendritic cells
2. Follicular dendritic cells
3. Macrophages
4. B cell

Correct answer: 1. Mature dendritic cells

Explanation: 1. Mature dendritic cells have the same major function, the presentation of antigen to TH cells. Four types of dendritic cells are known:1) Langerhans cells 2) interstitial dendritic cells 3) myeloid cells 4) lymphoid dendritic cells. They descend through both the myeloid and lymphoid lineages. Despite their differences,they all constitutively express high levels of both class II MHC molecules and members of the co-stimulatory B7 family. For this reason, they are more potent antigen-presenting cells than macrophages and B cells